Ivabridine is indicated in the management of
1. PSVT
2. Angina pectoris
3. Cardiomyopathy
4. Irritable bowel syndrome

Correct answer: 2. Angina pectoris

Explanation: Refer kDT 6/e p 55,katzung 11e p203 Ivabradine is a bradycardia drug. It selectively blocks if sodium channel blocker and reduce heart rate by inhibiting the hyperpolarization activated sodium channel in the SA node. No other significant hemodynamic effects has been noted. It reduces and then attacked similar to Calcium channel blocker and beta blockers